Uterus is derived from ?
1. Mesonephric duct
2. Urogenital sinus
3. Mesonephric tubule
4. Paramesonephric duct

Correct answer: 4. Paramesonephric duct

Explanation: Paramesonephric duct